Drug of choice for prophylaxis of meningococcal meningitis is :
1. Penicillin
2. Erythromycin
3. Septran
4. Rifampicin

Correct answer: 4. Rifampicin